A crooked nose is due to:
1. Deviated dorsum but tip midline
2. Depressed dorsum
3. Humped dorsum
4. Deviated dorsum and tip

Correct answer: 1. Deviated dorsum but tip midline

Explanation: In crooked nose, the dorsum of nose is deviated but tip is in midline. In a deviated nose, both dorsum and tip are deviated. Saddle nose is depressed nasal dorsum which may involve only cartilaginous or both bony and cartilaginous components. Humped nose, there is a presence of hump on nose.